Growth spurt occurs -
1. Just before appearance of axillary hair
2. Just before menarche
3. After 16 years
4. Before thelarche

Correct answer: 2. Just before menarche

Explanation: Ans. is 'b' i.e., Just before menarche